USG abdomen of a 30-year-old SLE patient who cannot feel her baby moving for past 7 days. Earliest appearance of spalding sign is at
1. 3 days
2. 4 days
3. 6 days
4. 7 days

Correct answer: 4. 7 days

Explanation: Image Courtesy- Case courtesy of A.Prof Frank Gaillard, https://radiopaedia.org/cases/8266 * Anti-phospholipid antibody syndrome explains the I.U.D* The irregular overlapping of the cranial bones on one another- spalding sign is due to liquefaction of the brain matter and softening of the ligamentous structures supporting the vault. It usually appears 7 days after death. Similar features may be found in extra-uterine pregnancy with the foetus alive.